The type of ultraviolet radiation (UV) that is known to induce skin cancer is
1. UV - A
2. UV - B
3. UV - C
4. UV - D

Correct answer: 2. UV - B